Primary hyperaldosteronism (Conn's syndrome) is characterized by-
1. High renin, high aldosteorone
2. Low renin, high aldosterone
3. Low renin, low aldosterone
4. High renin, low aldosterone

Correct answer: 2. Low renin, high aldosterone

Explanation: high aldosterone and low renin because as there is hypo secretion of renin that fails to increase appropriately during volume depletion and hyper secretion of aldosterone that does not suppress in response to volume expansion (Harrison 17 pg 2260)